The essential investigation to be included In follow-up of hydatidiform mole is :
1. Ultrasound abdomen
2. Chest X ray
3. Serum levels of HCG
4. Serum levels of TSH

Correct answer: 3. Serum levels of HCG

Explanation: Serum levels of HCG